Enzyme marker for Golgi apparatus:
1. Peroxidase
2. Galactosidase
3. Galactosyl transferase
4. Catalase

Correct answer: 3. Galactosyl transferase

Explanation: C i.e. Galactosyl transferase